A 40 year old female patient complains of swelling on both legs. Patient is pregnant (3rd trimester). Which type of thrombosis is most likely to develop in this patient?
1. Venous
2. Arterial
3. Mural
4. Saddle

Correct answer: 1. Venous